"Kidney" shaped organisms are:
1. Pneumococci
2. Gonococci
3. Staphylococci
4. Plague bacillus

Correct answer: 2. Gonococci

Explanation: Gonococci